Congenital hyper coagulability states are all of the following except
1. Protein C deficiency
2. Protein S deficiency
3. Anti phospholipids antibody syndrome
4. MTHFR gene mutation

Correct answer: 3. Anti phospholipids antibody syndrome

Explanation: Ref Robbins 8/e p123 ,9/e p123